Pathogenesis of all of the following is granulomatous, except
1. Wegener’s granulomatosis
2. Microscopic polyangiitis
3. Takayasu’s arteritis
4. Buerger’s disease

Correct answer: 2. Microscopic polyangiitis

Explanation: Robbins clearly mentions that “microscopic polyangiitis is characterized by segmental fibrinoid necrosis of the media with focal transmural necrotizing lesions; granulomatous inflammation is absent”.